All of the following show ulnar nerve injury EXCEPT:
1. Clawing of medial 2 digits
2. Abductor pollicis palsy
3. Adductor pollicis palsy
4. Weak grip

Correct answer: 2. Abductor pollicis palsy

Explanation: Ans. B Abductor pollicis palsyRef: BDC, 6th ed. vol. I pg. 109-110, 120* In ulnar nerve palsy grip is weak due to paralysis of intrinsic muscles (all interossei, lateral 3rd& 4th lumbricals, hypothenar and adductor pollicis muscles).* Sensory supply of ulnar nerve is medial 1 1/2 fingers.* Abductor pollicis is supplied by median nerve.* Finger drop i.e. loss of extension of metacarpophalangeal joint is seen in Radial & Posterior interosseous nerve palsySigns of Ulnar Nerve palsy (remembered as BCDEF)* Book test/Fromet sign: While holding the book between thumb and rest of hand, there is overaction of flexor pollicis longus due to adductor pollicis nerve palsy.* Claw hand: Clawing of medial 2 digits* Card test: for testing palmar interossei, i.e. adduction of fingers. (PAD)* aDDuctor pollicis paralysis: Adduction of thumb lost* Egawa's test: To test dorsal interossei i.e. abduction of fingers (DAB).* Froment signExtra Mile* In low ulnar nerve palsy forearm muscles are spared but the clawing is more (as compared to high ulnar n. palsy) this phenomenon is known as ulnar paradox.* Lower the lesion, more the clawing.